Frequency of sound waves used in USG -
1. < 1000 Hz
2. > 5000 Hz
3. > 10000 Hz
4. > 20000 Hz

Correct answer: 4. > 20000 Hz

Explanation: Frequency of sound waves used in usg is >20000Hz.